Spongiosis is seen in -
1. Acute eczema
2. Lichen Planus
3. Psoriasis
4. Pemphigus

Correct answer: 1. Acute eczema

Explanation: Spongiosis is the accumulation of edema fluid within the intercellular space of epidermis and is characteristic of acute eczematous dermatitis.